How would a drug that competes with ACh for receptors at the motor end plate affect skeletal muscle? It would:
1. Produce uncontrolled muscle spasms
2. Cause the muscles to contract and be unable to relax
3. Cause muscles to relax and be unable to contract
4. Make the muscles more excitable

Correct answer: 3. Cause muscles to relax and be unable to contract

Explanation: Ref: KD Tripathi pharmacology 7th edition (page.no: 58) Anticholinergic drugs compete with acetylcholine for receptors at NM junction . Anticholinergic opposes the action of Ach causing relaxation of the muscle.